Helicobacter pylori is a causative agent for which of the following conditions?
1. MALT
2. Gastric adenocarcinoma
3. Ulcers
4. All of the above

Correct answer: 4. All of the above